Transitional epithelium is seen in-
1. Esophagus
2. Vagina
3. Urinary bladder
4. Trachea

Correct answer: 3. Urinary bladder

Explanation: Lining of urinary bladder is Transitional epithelium.